Of the following Local anesthetics, which has
intrinsic vasoconstrictive action?
1. Cocaine
2. Procaine
3. Xylocaine
4. Bupivacaine

Correct answer: 1. Cocaine